Which of the following disease is transmitted by phlebotomus argentipes -
1. Epidemic typhus
2. Kala-azar
3. Relapsing fever
4. Trench fever

Correct answer: 2. Kala-azar

Explanation: Kala-azar by Sandfly Trypanosomiasis African - Tsetse fly American (Chagas) - Triatomine bug Park's Textbook of Preventive and Social Medicine, 25th Edition, Pg 836